Which of the following structures pass through aortic hiatus?
1. Thoracic duct and azygos vein
2. Thoracic duct and gastric artery
3. Vagus nerve with oesophagus
4. Aorla with oesophagus

Correct answer: 1. Thoracic duct and azygos vein

Explanation: The aortic hiatus situated at the level of T12 vertebra. Structures passing through aortic hiatus along with aorta are:Thoracic ductAzygos veinHemiazygos vein